Which of the following is not a formal thought disorder?
1. Delusion
2. Neologism
3. Derailment
4. Tangentiality

Correct answer: 1. Delusion

Explanation: Delusion is a disorder of content of thought. Neologism, derailment, and tangentiality are formal thought disorder.